A 45-year-old man is admitted to the emergency department after a violent car crash. Physical examination reveals that the patient suffers from a "straddle" injury to the perineum. An MRI examination reveals that extravasating urine and blood from a torn bulbar urethra are present in the superficial perineal cleft. Which of the following fasciae provide boundaries for this space?
1. Camper's fascia and Scarpa's fascia
2. Perineal membrane and external perineal fascia of Gallaudet
3. Colles' fascia and external perineal fascia of Gallaudet
4. Perineal membrane and the superior fascia of the urogenital diaphragm

Correct answer: 3. Colles' fascia and external perineal fascia of Gallaudet

Explanation: The superficial perineal space or cleft lies between the external perineal fascia of Gallaudet (fascia of inferior perineal muscles in the superficial perineal compartment) and the membranous layer of Colles' fascia. Camper's fascia is the superficial fatty layer of the anterior abdominal wall and the perineum; Scarpa's fascia is the deep membranous layer of the abdominal wall. The perineal membrane is the inferior fascia of the urogenital diaphragm that forms the inferior boundary of the deep perineal compartment. The superior fascia of the urogenital diaphragm bounds the inferior border of the anterior recess of the ischioanal fossa. There is no space between the urogenital diaphragm and the apex of the prostate gland.